In a patient with head injury, eye opening is seen with painful stimulus, localizes the pain and there is inappropriate verbal response. What would be the score on Glasgow coma scale:
1. 8
2. 9
3. 10
4. 11

Correct answer: 3. 10

Explanation: Ans is 'c' i.e. 10 Feature Score Eye opening to pain 2 Inappropriate words 3 Localizes pain 5 Total 10